A child Hugs parents at the age of ?
1. 12 months
2. 15 months
3. 18 months
4. 24 months

Correct answer: 2. 15 months

Explanation: Emerging patterns of social behaviour from 1-5years of age 15months Indicates some desires or needs by pointing Hugs parents 18months Feeds self Seeks help when in trouble May complain when wet or soiled Kisses parent with pucker 24months Handles spoon well Often tells about immediate experiences Helps to undress Listens to stories when shown pictures 30months Helps put things away Pretends in play 36months Plays simple games (in "parallel" with other children) Helps in dressing (unbuttons clothing and puts on shoes) Washes hands 48months Plays with several children, with the beginning of social interaction and role-playing Goes to the toilet alone 60months Dresses and undresses Asks questions about the meaning of words Engages in domestic role-playing Ref: Nelson paediatrics; Table 11-1